A 50-year-old fire fighter emerges from a burning house with third-degree burns over 70% of his body. The patient expires 24 hours later. Which of the following was the most likely cause of death?
1. Congestive heart failure
2. Disseminated intravascular coagulation
3. Hypovolemic shock
4. Pulmonary saddle embolism

Correct answer: 3. Hypovolemic shock

Explanation: Hypovolemic shock may be caused by hemorrhage, fluid loss from severe burns, diarrhea, excessive urine formation, perspiration, or trauma. In the case of burns or trauma, direct damage to the micro-circulation increases vascular permeability. Persons with third-degree burns weep large amounts of plasma. The other choices are unlikely causes of death in an acute burn victim.Diagnosis: Hyperthermia, hypovolemic shock